Sec. 142 IEA is related to:
1. Cross-questioning
2. When leading question can be asked
3. When leading question cannot be asked
4. Objective evidence

Correct answer: 3. When leading question cannot be asked

Explanation: Ans. When leading question cannot be asked